Which treatment goal is not included in the control phase of caries management?
1. Eliminate active disease
2. Eliminate cause of disease
3. Manage symptoms like swelling and pain
4. Remove conditions preventing maintenance

Correct answer: 3. Manage symptoms like swelling and pain

Explanation: Five phases of caries management 

Urgent phase - management of pain, swelling, bleeding, infection before initiation of subsequent phases. 
Control phase - eliminate active disease, remove conditions preventing maintenance, eliminate cause of the disease and begin preventive alternatives. 
Reevaluation phase.
Definitive phase.
Recare and reassessment phase.

Reference- Sturdevant 6th ed pg- 107